Which of the following is the commonest cause of heart failure in early infancy?
1. Myocarditis
2. Rheumatic fever
3. Cardiomyopathy
4. Congenital heart disease

Correct answer: 4. Congenital heart disease

Explanation: Heart failure is a potentially lethal complication of congenital heart disease and occurs in more than 80% of infants. Heart failure within the first 12 to 18 hours of life is usually a result of malformations that involve pressure or volume overload independent of pulmonary flow, as occurs with severe valvular regurgitation or a systemic arteriovenous fistula. Full-term infants presenting with severe heart failure during the remainder of the first week have critical obstruction to systemic arterial flow. Examples are aortic atresia, coarctation of the aorta, interruption of the aortic arch, and critical aortic stenosis. During the second week of life, aortic atresia and coarctation remain the most common causes of heart failure. VSD is the most frequent cause of congestive failure, followed by transposition, coarctation, complete AV canal, and PDA. Ref: Brown D.W., Fulton D.R. (2011). Chapter 83. Congenital Heart Disease in Children and Adolescents. In V. Fuster, R.A. Walsh, R.A. Harrington (Eds), Hurst's The Heart, 13e.